The apoprotein in HDL is mainly
1. B–100
2. B–48
3. A–1
4. C–1

Correct answer: 3. A–1

Explanation: Most important apoprotein in HDL → apo A-1
Most important apoprotein in chylomicrons → apo B-48
Most important apoprotein in LDL, IDL, VLDL → apo B-100